After parotidectomy patients complains of loss of sensation while shaving. Which nerve is most likely affected?
1. Auriculotemporal nerve
2. Great auricular nerve
3. Facial nerve
4. Mandibular nerve

Correct answer: 2. Great auricular nerve

Explanation: Ans. (B) Great auricular nerve(Ref: Bailey & Love's Short Practice of Surgery 27th Ed; Page No-790)Permanent numbness of earlobe associated with grater auricular nerve transection; which is the complication of parotid surgery.Others complications of Parotid surgery:#Facial numbness#Hematoma#Temporary facial nerve weakness#Sialocele#Infection#Transection of facial nerve#Flap necrosis#Frey's SyndromeIt occurs due to damage of Auriculotemporal nerve during parotid gland dissection).It manifest after 2-3 months of the parotid surgery.Clinical PearlsA formal superficial parotidectomy (or superficial and deep if the tumor is deep to the facial nerve) is the appropriate way to excise--and thereby biopsy--parotid tumors, preventing recurrences and sparing the facial nerve.In malignant tumors the nerve is sacrificed and a nerve interposition graft performedOpen biopsy is absolutely contraindicated but FNA of these tumors may be done.